Endometrial cancer involving >50% of myometrium, extending to vagina, no pelvic extension, no pre and para aortic lymph nodes. Peritoneal lavage was positive staged as -
1. III a
2. III b
3. III cl
4. III c2

Correct answer: 2. III b

Explanation: Ans. is 'b' i.e., IIIb FIGO STAGING OF ENDOMETRIAL CANCERSTAGE I Cancer confined to corpus uteriIA-Limited to endometriumIB-< 1/2 myometrial thicknessIC-> 1/2 myometrial thicknessSTAGE II Tumour involves cervix but does not extend beyond uterusIIa-Cervical glandular involvementlIb-Cervical stromal involvementSTAGE III Local and/or regional spreadIIIa-Uterine serosa, positive peritoneal washings Adnexal involvementIllb-Vaginal involvement (lymph node absent)IIIc-Positive lymph node no pelvis and paraaortic lymph nodeIIIc1-Positive pelvic nodesIIIc2-Positive para aortic nodesSTAGE IV Tumour widespreadIVa-Bladder or bowel mucosaIVb-Distant metastasis